Which of the following is the most frequent presenting symptoms in patients with giant cell arteritis
1. Headache
2. Jaw claudication
3. Polymyalgin Rheumatica
4. Blindness

Correct answer: 1. Headache

Explanation: Answer is A (Headache): The most common presenting symptom in giant cell Arteritis is Headache Headache is the predominant symptom-Harrison 17th/2126 Headache is the most common Symptom- Current Rheumatology 2"d/264 Facts to Remember Characteristic Clinical manifestation of Temporal Arteritis include a complex of: Fever and or constitutional symptoms Anemia (80%) ESR (90%) Headache (70%) Classic Presenting Manifestation of Giant Cell Arteritis (Current Rheumatology) Headache 70% (most common symptoms) Jaw Claudication 50% Polymyalgia Rheumatica 40% Blindness 20%